The periphery of the retina is visualized by –
1. Indirect ophthalmoscopy
2. Direct ophthalmoscopy
3. Goniocopy
4. Contact lens

Correct answer: 1. Indirect ophthalmoscopy

Explanation: Direct ophthalmoscopy is used to evaluate details of the optic disc, fovea centralis, retinal fixation and retinal vasculature.
Indirect ophthalmoscopy offers a broader overview of the fundus than the direct method, depending upon the refractive power of the employed lens. It readily allows examination of the fundus as far as to the periphery.